A lady after undergoing surgery under general anaesthesia with no intra surgical complication complained of respiratory difficulty. Po2 low. Not able to lift her head and leg. what can be the cause
1. Prolonger action of muscle relaxant
2. Respiratory acidosis
3. Pulmonary embolism
4. Fentanyl chest rigidity

Correct answer: 1. Prolonger action of muscle relaxant

Explanation: This is a case of inadequate reversal from neuromuscular blocker. Residual paralysis Can occur after general Anaesthesia C/F - Patient conscious , unable to breathe adequate tidal volume , motor weakness, desaturation M/n- support the ventilation